Post splenectomy sepsis is common in -a) ITPb) Thalassemiac) Hereditary spherocytosisd) Trauma
1. ab
2. abc
3. acd
4. bcd

Correct answer: 2. abc